Fibroblasts in healing wound are derived from -
1. Local mesenchyme
2. Epithelium
3. Endothelium
4. Vascular fibrosis

Correct answer: 1. Local mesenchyme

Explanation: Fibroblasts are specialized cells that differentiate from resting mesenchyme cells in connective tissue. They do not arrive in the wound cleft by diapedesis from circulating cells.